Post neonatal mortality refers to _____
1. Deaths between 28 days and 1 year of life
2. Deaths within the first 7 days of life
3. Deaths between 7 days and 28 days of life
4. Deaths within the first 3 months of life

Correct answer: 1. Deaths between 28 days and 1 year of life

Explanation: Post-neonatal mortality refers to deaths between 28 days of life and 1 yr of life. These infant deaths are a result of causes outside the neonatal period such as sudden infant death sydrome, infections (respiratory, enteric) and trauma. Perinatal mortality refers to death between 28th week of gestation and 7th day after birth Neonatal mortality refers to death during the 1st 28 days after birth. Ref: Nelson textbook of pediatrics 20th edition Pgno: 792